The position adopted for tonsillectomy is also adopted for this procedure.  -
1. Direct laryngoscopy
2. Bronchoscopy
3. Tracheostomy
4. Indirect laryngoscopy

Correct answer: 3. Tracheostomy

Explanation: The position of a patient during tonsillectomy is Rose's position, i.e. patient lies supine with head extended by placing a pillow under the shoulder.
Rose's position is used in the ENT for : Tonsillectomy, Adenoidectomy, Tracheostomy.